Renal involvement is usually absent in _________
1. Drug-induced systemic lupus erythematosus (SLE)
2. Adult SLE
3. Pediatric SLE
4. SLE during pregnancy

Correct answer: 1. Drug-induced systemic lupus erythematosus (SLE)

Explanation: Renal involvement is usually absent in drug-induced SLE Drug involvement SLE has predominant skin involvement. Option 2: In adult, SLE kidney involvement is seen in 30-40% of patients Option 3: In pediatric SLE, Kidneys are almost always involved. Ref: Harrison's principles of Internal Medicine 20th edition pgno: 2525